Short acting non delpolarizing blocker ?
1. Rocurorium
2. Suxamethonium
3. Mivacurium
4. Pancuronium

Correct answer: 3. Mivacurium

Explanation: Ans. is 'c' i.e., Mivacurium